All can occur due to blunt trauma of eye except ?
1. Berlin's edema
2. Angle recession
3. Sympathetic ophthalmitis
4. Rosette cataract

Correct answer: 3. Sympathetic ophthalmitis

Explanation: Ans. is 'c' i.e., Sympathetic ophthalmitis